Aplastic anemia results from
1. Cytotoxic drugs
2. Whole body irradiation
3. HIV infection
4. All of the above

Correct answer: 4. All of the above